Which of the following sympathominetic agents is the most bronchodilator
1. Amphetamine
2. Nor epinephrine
3. Isoproterenol
4. Phenylephrine

Correct answer: 3. Isoproterenol